All are true about ASHA are all EXCEPT:
1. Selected by village panchayat/Gram Sabha
2. Trained by ANM
3. Minimum class 4 passed
4. Comes under NRHM 2005-2012

Correct answer: 3. Minimum class 4 passed

Explanation: Ans. (c) Minimum class 4 passedRef : K. Park 23rd ed. / 449-50, s 21sted. /407* Minimum education required for ASH A: 8(tm) pass* ASHA is Accredited Social Health Activist.* One ASHA works for 1000 population.* In tribal, hilly and desert areas, the norm is one ASHA per habitation.Impact Indicators of ASHA* Infant mortality rate* Child malnutrition rate* Number of TB/leprosy case detection as compared to previous year.Must knowASHA* ASHA must be the resident of the village preferably in the age group of 25-45 years.* Minimum education required for ASHA: 8th pass* ASHA is selected by village panchayat/Gram Sabha* ASHA comes under national Rural Health Mission (NRHM): 2005-2012* Act as bridge between village and ANM (Auxiliary Nurse midwife)* Training of ASHA is done by ANM and AWW for a minimum duration of 23 daysAlso know* One multi-purpose worker (MPW) is for: 5000 population* One village health guide (VHG) is for: 1000* One Anganwadi worker (AWW) is for: 400-800